Indirect ophthalmoscopy is done for –
1. Central retina
2. Periphery of retina
3. Sclera
4. Angle of ant. chamber

Correct answer: 2. Periphery of retina